Outcome indicator for ASHA -
1. IMR
2. TB/leprosy cases detected
3. Child malnutrition rate
4. % of institutional deliveries

Correct answer: 4. % of institutional deliveries

Explanation: Ans. is 'd' i.e., % of institutional deliveries Monitoring and Evaluation of ASHA's workGovernment of India has set up following indicators for monitoring ASHA (41).1. Process IndicatorsNumber of ASHAs selected by due processNumber of ASHAs trained; and% of ASH As attending review meeting after one year2.Outcome Indicators% of newborn who were weighed and families counseled.% of children with diarrhoea who received ORS.% of deliveries with skilled assistance.% of institutional deliveries.% of JSY claims made to ASHA% of completely immunized in 12 to 23 months age group.% of unmet need for spacing contraception among BPL.% of fever cases who received chloroquine with in first week in a malaria endemic area.3.Impact IndicatorsIMRChild malnutrition ratesNumber of cases of TB/leprosy detected as compared to previous year.